Hassal's corpuscles are seen in:
1. Thymus
2. Spleen
3. Bone marrow
4. Lymph node

Correct answer: 1. Thymus

Explanation: Hasal's corpuscles/thymic corpuscles are structures found in the medulla of the human thymus, formed from type VI epithelial reticular cells.They are named for Arthur Hill Hassall, who discovered them in 1849.